Impotence is a feature of which of the following-
1. Multiple sclerosis
2. Poliomyelitis
3. Amyotropic lateral sclerosis
4. Meningitis

Correct answer: 1. Multiple sclerosis